Which of the following is not done before ABG?
1. Allen test
2. Heparin to rinse the syring
3. Flexion of wrist
4. Poking the artery at 45 degrees angle

Correct answer: 3. Flexion of wrist

Explanation: Done Before ABG Allen test: integrity of palmer arch. Heparin: to rinse the syringe Poking the artery at 45-degree angle. Extend wrist joint: Radial Artery tent.